Dental wax pattern should be invested as soon as possible because of danger of:
1. Distortion due to relaxation of internal stresses
2. Drying of the wax pattern
3. Continued expansion of wax
4. Reduction in flow of wax

Correct answer: 1. Distortion due to relaxation of internal stresses